Linear coefficient of thermal expansion of composites is
1. 1 ppm/ oC
2. 40 ppm/ oC
3. 260 ppm/ oC
4. 1000 ppm/ oC

Correct answer: 2. 40 ppm/ oC

Explanation: Linear coefficient of thermal expansion:

TOOTH : 9-11 PPM/ oC 
AMALGAM : 25 
GOLD : 15  
COMPOSITES : 40 
GIC : 25 
DENTAL WAXES : HIGHEST 260-600 PPM/ oC 

Reference- Sturdevant 6th ed P:237